iloprost used in pulmonary hypertension-
1. Inhalation
2. Intravenous
3. Oral
4. Subcutaneous

Correct answer: 1. Inhalation